A 47-year-old male has a history of end stage renal failure and required a kidney transplant. Approximately four weeks after receiving his transplanted kidney he developed oliguria, fever, hypertension and pain or tenderness over his allograft. On the basis of the findings, the most likely underlying immunological process is:
1. Autoimmunity
2. Acute rejection
3. Chronic rejection
4. Hyperacute rejection

Correct answer: 2. Acute rejection

Explanation: Ans. (b)The time span is appropriate for acute rejection of the transplanted organ but not for chronic or hyperacute rejection. There is no information suggesting autoimmunity. Peripheral tolerance is a mechanism for preventing responses to self antigen.